Not included in numerator of dependency ratio?
1. 5 years age group
2. 10 years age group
3. 20 years age group
4. 70 years age group

Correct answer: 3. 20 years age group

Explanation: Ans. is 'c' i.e., 20 years age group